The dicrotic notch on the aortic pressure curve is caused by -
1. Closure of the pulmonary valve
2. Rapid filling of the left ventricle
3. Closure of the aortic valve
4. Contraction of the atria

Correct answer: 3. Closure of the aortic valve